Which of the following part of psychosexual theory operates on the pleasure principle and attempts to obtain pleasure:
1. Id
2. Ego.
3. Superego.
4. None.

Correct answer: 1. Id